A 43year old hockey player is hits in the head by a puck. His radiogram shows a fracture of the foramen rotundum. Which of the following nerves would be damaged by this event?
1. Ophthalmic nerve
2. Mandibular nerve
3. Maxillary nerve
4. Optic nerve

Correct answer: 3. Maxillary nerve

Explanation: Foramen rotundum transmits maxillary nerve . So , injury to maxillary nerve can be expected .